An important non-respiratory function of lungs is
1. Anion balance
2. Defence against inhaled air
3. Potassium balance
4. Calcium balance

Correct answer: 2. Defence against inhaled air

Explanation: These nonrespiratory functions of the lung include its own defense against inspired particulate matter, the storage and filtration of blood for the systemic circulation, the handling of vasoactive substances in the blood, and the formation and release of substances used in the alveoli or circulation Ref: guyton and hall textbook of medical physiology 12 edition